The following conditions can cause protein-losing enteropathy except?
1. Ulcerative colitis
2. Irritable bowel syndrome
3. Celiac disease
4. Lymphoma

Correct answer: 2. Irritable bowel syndrome

Explanation: Protein losing enteropathy Disease process Mechanism Examples Mucosal ulceration Protein loss primarily represents exudation across damaged mucosa Ulcerative colitis Gastrointestinal carcinoma Peptic ulcer Non - ulcerated mucosa Loss across epithelia with altered permeability Celiac disease Menetrier's disease Lymphatic dysfunction Primary lymphatic disease or secondary to partial lymphatic obstruction Enlarged lymph nodes Cardiac disease